Investigation of choice for DVT is -
1. Doppler USG
2. Angiography
3. CT scan
4. MRI

Correct answer: 1. Doppler USG

Explanation: Description:.In the lower limbs, patients often present with unilateral leg pain, swelling, and erythema. On physical examination, the affected leg is often tender and warm, and there may be dilation of superficial veins. Additionally, some patients may have a positive Homan sign on physical examination, whereby there is pain on forceful dorsiflexion while the knee is extended. The Wells score for DVT, a clinical decision rule, can help to stratify risk in patients presenting with symptoms of acute DVT Complete duplex ultrasound is the imaging modality of choice